Watershed zone of large intestine ?
1. Cecum
2. Ascending colon
3. Rectosigmoid
4. Transverse colon

Correct answer: 3. Rectosigmoid

Explanation: There are areas of colon with poor blood supply resulting from incomplete anastomosis of marginal arteries. These are watershed areas of colon and include :Splenic flexure (Griffith point) : Watershed area between superior mesenteric artery and inferior mesenteric artery.Rectosigmoid junction (Sudeck's point) : Watershed zone between inferior mesenteric artery and internal iliac artery.